Early dumping consists of following except
1. Abdominal and vasomotor symptoms found in about 5%-10% of patient following gastrectomy or vagotomy and drainage
2. The small bowel is filled with foodstuffs from the stomach, which have a high osmotic load
3. This leads to the sequestration of fluid from the circulation to the gastrointestinal tract
4. This can be observed by the fall in the packed cell volume while the symptoms are present

Correct answer: 4. This can be observed by the fall in the packed cell volume while the symptoms are present

Explanation: Early dumping syndrome or post-cibal syndrome is common in females,seen after Billroth II surgery. It is more severe type; characterised by vasomotor symptoms appearing immediately after food,lasts for 30-40 minutes,aggravated by bulky food. It is relieved by lying down, aggravated by more food. Clinical features:  Sweating, tachycardia, colicky pain and diarrhoea  Hypotension and features of hypovolaemia. Pathogenesis: It is a primary disorder of carbohydrate metabolism wherein initial transient hyperglycaemia prevents further absorption of glucose, which in turn draws fluid from the bowel wall by high osmolarity resulting in increased intestinal activity, resulting in diarrhoea and fall in blood volume. Treatment: Small, dry, more frequent food, with avoidance of carbohydrates.Octreotide 100 ug given subcutaneously before meals is found to be beneficial Reference : page 839 SRB's manual of surgery 5th edition